All of the following can cause traumatic Asphyxia, except ?
1. Railway Accident
2. Road Traffic Accident
3. Accidental strangulation
4. Stampede in crowd

Correct answer: 3. Accidental strangulation

Explanation: Ans. is 'c' i.e., Accidental strangulation Traumatic asphyxia : It is a form of asphyxia which is caused from respiratory arrest due to mechanical fixation of chest resulting from blunt trauma to chest or external pressure on the chest, abdomen or back which prevents normal respiratory movements of the chest wall. It may be due to :? a) Stampede in crowd (riot crus or human pile death). b) Crush by heavy object e.g. (i) road traffic accident, (ii) railway accident, (iii) overturn of tractor in farm and (iv) fall of earth, stone etc. in mine or in a building collapse